Which of the following structures is most significant in resisting hyperextension of the hip joint?,
1. Pubofemoral ligament
2. Ischiofemoral ligament
3. Iliofemoral ligament
4. Gluteus maximus muscle

Correct answer: 3. Iliofemoral ligament

Explanation: The Iliofemoral Ligament resist both hyperextension and lateral rotation at the hip joint. The Pubofemoral ligament reinforces the joint inferiorly and limits extension and abduction. The Ischiofemoral ligament reinforces the joint posteriorly and limits extension and medial rotation. The Gluteus Maximus muscle extends and laterally rotates the thigh and does not particularly resist hyperextension